Epitheloid granuloma consists mainly of which type of cells:
1. B cells
2. T cells
3. Monocytes
4. Macrophages

Correct answer: 4. Macrophages

Explanation: Ans. D: Macrophages Macrophages/ histiocytes are the cells that define a granuloma. They often, but not invariably, fuse to form multinucleated giant cells. The macrophages in granulomas are often referred to as "epithelioid". Epithelioid macrophages differ from ordinary macrophages in that they have elongated nuclei that often resemble the sole of a slipper or shoe. They also have larger nuclei than ordinary macrophages and their cytoplasm is typically more pink when stained with eosin. Granulomas are seen in a wide variety of diseases, both infectious and non-infectious. Infections that are characterized by granulomas tuberculosis leprosy histoplasmosis cryptococcosis coccidioidomycosis blastomycosis cat scratch disease. Examples of non-infectious granulomatous diseases are Sarcoidosis (Sarcoid granulomas often contain star-shaped structures termed asteroid bodies or lamellar structures termed Schaumann bodies) Crohn's disease berylliosis Wegener's granulomatosis Churg-Strauss syndrome Pulmonary rheumatoid nodules Aspiration of food and other particulate material into the lung.